Which one of the following not is true regarding choriocarcinoma ?
1. Aggressive malignancy
2. Raised HCG levels
3. Common below 20 years of age
4. Gonadal type is chemosensitive

Correct answer: 4. Gonadal type is chemosensitive

Explanation: Ans. is 'd' i.e., Gonadal type is chemosensitiveChoriocarcinoma o Choriocarcinoma may be :-i) Placental (more common) :- Arise in placentaii) Gonadal :- Arise in gonads (testis or ovary)o Choriocarcinoma occurs in first three decades of life.o Gonadal choriocarcinoma is highly malignant form of gonadal tumor and metastatizes early and widely.o All choriocarcinomas elaborate high level of HCGS which is sometimes helpful in establishing the diagnosis or detecting recurrences.o In contrast to choriocarcinomas arising in placental tissue, those arising in gonads are generally unresponsive to chemotherapy and are often fatal.